True about Hirschsprug's disease
1. Aganglionic segment is contracted not dilated
2. Descending colon is most common site
3. Barium enema is diagnostic
4. Barium enema shows calcification

Correct answer: 1. Aganglionic segment is contracted not dilated

Explanation: Hirschsprung's disease : congenital absence of ganglion cells in the submucosal and myentric plexus of distal intestine Rectal biopsy is goldstandard in diagnosing disease. in barium enema,the narrow aganglionic bowel with dilated proximal bowel is seen Symptoms:failure to pass meconium in first 48 hours of life,vomiting,constipation,poor feeding,abdominal distension Ref : ESSENTIAL PEDIATRICS,O.P.GHAI,PG NO:256, 7th edition